Clue cells are seen in-
1. Bacterial vaginosis
2. Candidiasis
3. Chlamydiasis
4. Trichomoniasis

Correct answer: 1. Bacterial vaginosis

Explanation: Ans. is 'a' i.e., Bacterial vaginosis * Bacterial vaginosis/vaginitis (BV) is a common vaginal infection.Etiology* BV is caused by an imbalance and decrease in the naturally occurring bacteria of the vagina.* In BV the number of the normal lactobacilli (Doderlein's bacilli) decreases with simultaneous increase in concentration of other types of bacteria, especially anaerobic bacteria.* The causative organisms which act synergistically are:i) Gardnerella vaginalisii) Ureaplasma urealyticumiii) Mycoplasma hominisiv) Peptococcus and mobiluncus.Clinical Features* Moderate, malodorous, grayish white homogenous discharge, adherent to vaginal wall* No evidence of vaginal inflammation.Diagnosis* AMSEL'S criteria are used.* Any three out of four should be present.1) Grayish white discharge2) Vaginal pH > 4.7 (alkaline)3) Drop of discharge mixed with 10% KOH = Fishy odor (due to release of amines,acridine, and putredine) = Whiff test4) Smear prepared with normal saline: Clue cells (vaginal epithelial cells covered with coccobacilli and the cells appear as stippled or granular). Clue cells are diagnostic of BV.Treatment* Metronidazole 400 mg thrice a day for 5-7 days is the drug of choice* Locally clindamycin and metronidazole gel can be used